'Lacunar cells' seen in the following histological type of Hodgkin's lymphoma?
1. Nodular sclerosis
2. Lymphocyte depleted
3. Lymphocyte dominant
4. Mixed

Correct answer: 1. Nodular sclerosis

Explanation: WHO classification of Hodgkin's lymphoma Nodular sclerosisMixed cellularityLymphocyte-richLymphocyte depletedLymphocyte predominantMost common type of HL Most common type of HL in India Associated with HIV M = FM > FM > FM > FM > FReed Sternberg cell variant in lacunar cell( clear space surrounding cell)Has eosinophils & plasma cells and Reed Sternberg cell in maximum numbersMononuclear and Reed Sternberg cell in low numbers Reed Sternberg cell - pleomorphic, mummified & necrobiotic LH cells ( popcorn cells ) with absence of B cellCells are CD 15+ and CD 30+Cells are CD 15+ and CD 30+Cells are CD 15+ CD 30+and CD 20 -Cells are CD 15+ and CD 30+Cells are CD 15-, CD 30-, CD 20 +, BCL6+ and EMA+No association with EBV Associated with EBV Associated with EBV Associated with EBV No association with EBV Excellent prognosis Very good prognosis Good to excellent prognosis Poor prognosis Excellent prognosis Adolescent and young adult Biphasic incidence Old age group Old age group Young males (Refer: Robbins & Cotran's - Pathologic Basis of Disease, SAE, 1st edition, Vol I-pg no: 607-609)